A 12-year-old child with acute kidney injury after a bout of dysentery. Not seen is:
1. M.A.H.A
2. Schistocytes
3. Normal serum haptoglobin
4. Thrombocytopenia

Correct answer: 3. Normal serum haptoglobin

Explanation: Ans. (c) Normal serum haptoglobin.